Father of public health is related to which disease?
1. Tuberculosis
2. Cholera
3. Malaria
4. Plague

Correct answer: 2. Cholera

Explanation: Father of public Health : John Snow, identified Cholera.
Father of modern epidemiology : John Snow.
Father of Medicine / first true epidemiologist : Hippocrates.